B cells are induced to produce IgE by which of the following
1. IL-2
2. IL-4
3. IL-1
4. IL-6

Correct answer: 2. IL-4

Explanation: ref : robbins 10th ed